The thyroid angle in male is:
1. 60deg
2. 90deg
3. 100deg
4. 120deg

Correct answer: 2. 90deg

Explanation: The two laminae of thyroid cartilage meet in the midline forming an angle - the thyroid angle. It is 90deg in male and 120deg in female. The acute angle formed in male is also responsible for Adam's apple. Thyroid on its inner side gives attachment to vocal cords in its middle while just above it is the attachment of epiglottis.